Alcoholic paranoia is associated with:
1. Fixed delusions
2. Hallucinations
3. Drowsiness
4. Impulsivity

Correct answer: 1. Fixed delusions

Explanation: Alcoholic paranoia usually presents with delusion of infidelity (also known as morbid jealousy). Patient with delusion of infidelity has a false belief that his partner/spouse is having an affair.